Following is an adverse effect of Etomidate –
1. Adrenocortical suppression
2. Hypertension
3. Hyperkalemia
4. Emergence phenomena

Correct answer: 1. Adrenocortical suppression